Guided tissue regeneration (GTR) is done in:
1. Vestibular deepening procedures
2. Frenectomy
3. Flap surgeries
4. Gingivectomy

Correct answer: 3. Flap surgeries